Which one of the following is a cohort study
1. North Karelia project
2. Standard three community study
3. MRFIT study
4. Framingham heart study

Correct answer: 4. Framingham heart study

Explanation: A cohort study is a particular form of a longitudinal study that samples a cohort (a group of people who share a defining characteristic, typically those who experienced a common event in a selected period, such as birth or graduation), performing a cross-section at intervals through time. Ref: 25th edition, Park's Textbook of Preventive and Social Medicine, Page no. 83